The following affect enzyme activity except
1. Methylation
2. Acetylation
3. Induction
4. Phosphorylation

Correct answer: 3. Induction

Explanation: Regulation of Enzymes
Can be classified as:
Regulation of Enzyme Quality (Intrinsic Catalytic Efficiency)
• Allosteric Regulation
• Covalent modification. 
Covalent modification
• Phosphorylation/dephosphorylation 
• Methylation
• Adenylation
• ADP ribosylation
• Acetylation.
Regulation of enzyme quantity
Control of Enzyme Synthesis
By Induction and Repression
Control of Enzyme Degradation Enzymes are degraded by Ubiquitin—Proteasome pathway.